Radical mastoidectomy is done for:
1. ASOM
2. Safe CSOM
3. Atticoantral cholesteatoma
4. Acute mastoiditis

Correct answer: 3. Atticoantral cholesteatoma

Explanation: (c) Atticoantral cholesteatoma(Ref. Cummings, 6th ed., 2190)These days MRM is preferred over radical mastoidectomy in the management of unsafe CSOM with or without complications except for a few areas